Which one of the following antiplatelet is a prodrug
1. Aspirin
2. Dipyridamole
3. Ticlopidine
4. Abciximab

Correct answer: 3. Ticlopidine

Explanation: Ans. is 'c' i.e., Ticlopidine Ticlopidine is a prodrug that requires conversion to the active thiol metabolite by a hepatic cytochrome P450 enzyme.